Efficacy of a new drug A is compared with an existing drug B in :
1. Clinical trial phase I
2. Clinical trial phase II
3. Clinical trial phase III
4. Clinical trial phase IV

Correct answer: 3. Clinical trial phase III